Which of the following is least useful in Rx of "Overactive bladder"?
1. Oxybutynin
2. Tolterodine
3. Duloxetine
4. Darifenacin

Correct answer: 3. Duloxetine

Explanation: Duloxitin is use in the treatment of stress incontinence.